Dysphagia lusoria is because of -
1. Esophageal webs
2. Achalasia
3. Esophageal stricture
4. Aberrant great vessels

Correct answer: 4. Aberrant great vessels

Explanation: Dysphagia lusoria

Dysphagia Lusoria is a disorder of swallowing caused due to vascular anomalies
Causes of Dysphagia Lusoria
A right aortic arch
A double aortic arch
A vascular constricting ring formed by FDA or a ligamentum arteriosum and the pulmonary artery or aortic arch.
An abnormal right subclavian artery(arteria lusoria)
An abnormal innominate artery
Diagnosis is made by a lipoidal swallow or by arteriography.